Meckel's cave is related to -
1. Submandibular ganglion
2. Trigeminal ganglion
3. Otic ganglion
4. Pterygopalatine ganglion

Correct answer: 2. Trigeminal ganglion

Explanation: Ans. is 'b' i.e., Trigeminal ganglion o Trigeminal ganglion (Gasserion ganglion or semilunar ganglion) lies in a dural pouch, the cavum trigeminale (Meckel's cave).